Obligatory intracellular organism is ?
1. Mycoplasma
2. Chlamydae
3. Cryptococcus
4. H.pylori

Correct answer: 2. Chlamydae

Explanation: Ans. is 'b' i.e., Chlamydia